After condensation of direct filling gold, its hardness value may be equivalent to
1. Type I gold alloy
2. Type II gold alloy
3. Type III gold alloy
4. Type IV gold alloy

Correct answer: 1. Type I gold alloy

Explanation: Pure gold has hardness value of 22 VHN.
The process of gold compacting is also known as condensation. After work hardening, its hardness (52 to 75 VHN) is equivalent to and may exceed that of type I gold alloy (50 VHN), and approaches that of type II gold alloy (90 VHN). This category of gold is also known as cohesive gold and direct filling gold for restorations.
Ref: Phillips 12th edition. page 415